A 4 year child can perform which one of the following?
1. Can hop on single leg for 15 feet
2. Can skip without falling to either side
3. Can stand on one feet for 20 seconds
4. Helps in household tasks.

Correct answer: 1. Can hop on single leg for 15 feet

Explanation: Can hop on single feet for 15 feet- 4 yrs Can skip without falling to either side- 5 yrs Can stand one feet for 20 seconds- 5 yrs Helps in household tasks- 5 yrs.